The site of lodging foreign body in the esophagus is -
1. Upper constrictor
2. Bifurcation of trachea
3. Aortic body
4. Lower esophagus

Correct answer: 1. Upper constrictor

Explanation: By far the most common site is at or just above the cricopharyngeal sphincter (upper constrictor).